All are true about neurotrophins except ?
1. Help integrity of postsynaptic neurons
2. TrK B is associated with brain derived neurotrophic factor
3. Helps in growth of cholinergic neurons in basal forebrain
4. Always transported antegrade along the axon

Correct answer: 4. Always transported antegrade along the axon

Explanation: Ans. is 'd' i.e., Always transported antegrade along the axon NeurotrophinsThis name is given to a group of proteins necessary for the survival and growth of neurons.Some of them are synthesized by extraneuronal structures innervated by the neurons, e.g. skeletal muscle innervated by alpha-motor neurons and tissue innervated by autonomic neurons.Many are produced by astrocytes.From the non-neural tissues, neurotrophins are taken up by endocytosis at the nerve terminal and transported to the soma by axonal retrograde transport mechanism.